A body is brought for autopsy with history of poisoning. On postmortem examination, there is dark brown postmortem staining and garlic odour in stom-ach. In this case the poisoning is most likely due to
1. Hydrocyanic acid.
2. Carbon dioxide
3. Aniline dye.
4. Phosphorus.

Correct answer: 4. Phosphorus.

Explanation: D i.e. Phosphorus